Which of the following vitamin is not associated with toxicity
1. Pantothenic acid
2. Pyridoxine
3. Vitamin A
4. Vitamin E

Correct answer: 1. Pantothenic acid

Explanation: No toxicity has been reported for Pantothenic acid and Biotin Ref Harrison Internal medicine 20e p2314